Lateral ventricle is connected to third ventricle by ?
1. Foramen of Monro
2. Foramen of luschka
3. Foramen of magendie
4. Median foramen

Correct answer: 1. Foramen of Monro

Explanation: Ans. is 'a' i.e., Foramen of Monro